What is not true about infective endocarditis?
1. Hematuria
2. Rose spots
3. Roth spots
4. Hemiplegia

Correct answer: 2. Rose spots

Explanation: Rose spots Bacterial emboli to the skin Occur in approximately 1/3rd of the cases of typhoid fever. One of the classic signs of untreated disease, Shigellosis and non-typhoidal salmonellosis. Appear as a rash between the 7th and 12th day from the onset of symptoms. Occur in groups of 5-10 on the lower chest and upper abdomen, Last 3-4 days A.Rose spots in salmonellosis. Hematuria can occur as a manifestation of PSGN in IE. Hemiplegia can occur after brain abscess formation in IE. Roth spots are central retinal hemorrhage occurs in IE.